Most common cause of unilateral proptosis in children is
1. Thyroid ophthalmopathy
2. Orbital cellulitis
3. Chloroma
4. Neuroblastoma

Correct answer: 2. Orbital cellulitis

Explanation: M/C cause in children - Orbital cellulitis.
M/C cause in adults - Thyroid ophthalmopathy.